The mechanism that protects normal pancreas from autodigestion is
1. Secretion of biocarbonate
2. Protease inhibitors present in plasma
3. Proteolytic enzymes secreted in inactive form
4. The resistance of pancreatic cells

Correct answer: 3. Proteolytic enzymes secreted in inactive form

Explanation: If the proteolytic enzymes are not released in inactive form, they can cause autodigestion of the pancreas itself.